Keyes triad does not include
1. time
2. substrate
3. tooth
4. flora

Correct answer: 1. time